A patient presents with recurrent swelling of the lips as shown. He has no itching. Family history is positive. Which of the following is deficient in this patient?
1. C1,C2,C4
2. C1 inhibitor
3. C3b inactivator
4. C5-C8

Correct answer: 2. C1 inhibitor

Explanation: This boy presents with features of hereditary angioneurotic edema, which is due to deficiency of C1 inhibitor. C1 inhibitor deficiency - Hereditary angioedema. C1, C2, C4 deficiency - Collagen vascular disorders C5-C8 deficiency - Recurrent bacteremia with Neisseria. Reference: Ananthanarayan and Paniker's Textbook of Microbiology Tenth edition